Predisposing factor to carcinoma endometrium is
1. Multiparity
2. Early marriage
3. DM
4. OCP

Correct answer: 3. DM

Explanation: i.e. (D M): (416-18-Shaw's 15th)PREDISPOSING FACTORS IN CARCINOMA ENDOMETRIUM* Un opposed and unsupervised administration of hormone replacement therapy (HRT) after menopause predispose to endometrial hyperplasia and cancer. Fortunately the malignancy is well-differentiated with good prognosis* Chronic non ovulatory cycle as seen in DUB* In some families, a strong familial predispotion is noticed. This may be due to genetic or dietic habits such as animal protein and fat. The oestrone is derived by peripherlal aromatization in the fat tissue from androstenedione and contributes to high level of oestrogen. Women with familial Lynch II syndrome suffering from anorectal and breast cancer are also likely to suffer from endometrial cancer* Tamoxifen given to women with breast cancer increases the risk of endometrial hyperplasia and cancer to 2- 3 folds* Combined oral hormonal pills have protective effect and reduce its risk by 40-50% and also adding progestogens for 12 days each cycle to oestrogen in HRT reduces its risks to 20%**** Obesity, hypertension and diabetes characterize this cancer in 30%* Infertile women and women with PCOS on account of non-ovulation have high oestrogen. They develop endometrial hyperplasia and endometrial cancer more than normal women. The uterine fibroid is associated with endometrial cancer in 3% after the age of 40 years* 15% women with endometrial cancer have feminizing ovarian tumour at the time of diagnosisOCP|| |Tumours associated Provides protection1. Cervical cancer 1. Ovarian tumours2. Hepatic adenoma 2. Uterine tumours3. Pituitary adenoma 3. Benign breast disease